Which of the following statements about leptospirosis is true -
1. Rats are prime reservoirs
2. Fluoroquinolones are the drug of choice
3. Person to person Transmission is common
4. Hepatorenal syndrom may occur in up to 50% of patients

Correct answer: 1. Rats are prime reservoirs

Explanation: Animal reservoirs are rodents & Rats are prime reservoirs Reference:Park's textbook of preventive and social medicine,K.Park,23rd edition,page no:292.